Isoniazide is metabolized by -
1. Acetylation
2. Oxidation
3. Reduction
4. Hydrolysis

Correct answer: 1. Acetylation

Explanation: Ans. is 'a' i.e., Acetylation o Isoniazid is extensively metabolized in liver most important pathway being N - acetylation by NAT 2. The acetylated metabolite is excreted in urine.Drugs metabolized bv acetylationo Sulfonamides (including dapson)o INHo Procainamideo Hydralazineo PASo Clonazepam {given in 6th/e)